The lesion characteristic of secondary syphilis -
1. Ulcer
2. Condyloma acumicata
3. Condyloma lata
4. Guma

Correct answer: 3. Condyloma lata

Explanation: In secondary syphilis the lesions are symmetrical and numerous initially. Condyloma lata ate seen in intertriginous areas , the papules may erode superficially. Sometimes at commissures the papules split ( split papules) . From illustrated synopsis of dermatology and sexually transmitted diseases neena khanna 5th edition page no 322